The slender rhabditiform larvae of which of the following helminths move about in water and are ingested by species of cyclops-
1. D. Latum
2. D. Medinensis
3. W. Bancrofti
4. S. Mansoni

Correct answer: 2. D. Medinensis

Explanation: . Following ingestion, the copepods die and release the larvae, which penetrate the host stomach and intestinal wall and enter the abdominal cavity and retroperitoneal space . After maturation into adults and copulation, the male worms die and the females (length: 70 to 120 cm) migrate in the subcutaneous tissues towards the skin surface . Approximately one year after infection, the female worm induces a blister on the skin, generally on the distal lower extremity, which ruptures. When this lesion comes into contact with water, a contact that the patient seeks to relieve the local discomfort, the female worm emerges and releases larvae . The larvae are ingested by a copepod and after two weeks (and two molts) have developed into infective larvae . Ingestion of the copepods closes the cycle .